Most common cause of bleeding in children
1. Nose picking
2. Hypertension
3. Tumor
4. None

Correct answer: 1. Nose picking

Explanation: Most common cause of nose bleeding in children - Trauma to the little's area. Fingernail trauma is common. Ref : Dhingra 7e pg 197.